Stuart instrument gnathoscope is:
1. Non-adjustable articulator.
2. Semi adjustable articulator.
3. Fully adjustable articulator.
4. None

Correct answer: 3. Fully adjustable articulator.